Not true about corynebacterium hormannii
1. A diphtheroid
2. Non-pathogenic saprophyte
3. Toxigenic
4. Also known as C pseudodiphthericum

Correct answer: 3. Toxigenic

Explanation: Ans. is. 'c' i. e. Toxigenic